Periapical cyst is usually preceded by:
1. Periapical granuloma
2. Periodontal abscess
3. Periapical abscess
4. All of the above

Correct answer: 1. Periapical granuloma